Pauvel's angle is
1. Neck shaft angle of femur
2. The difference between neck shaft angle between two femurs of a patient
3. Formed by joining a line extended from fracture line of femur neck to an arbitrary line depicting the horizontal plane
4. None of the above

Correct answer: 3. Formed by joining a line extended from fracture line of femur neck to an arbitrary line depicting the horizontal plane

Explanation: C i.e. Formed by joining a line extended from fracture line of femur neck to an arbitrary line depicting the horizontal plane